The screening strategy for prevention of blindness from diabetic retinopathy according to the NPCB involves:
1. Opportunistic screening
2. High Risk Screening
3. Mass screening
4. Screening by Primary Care Physician

Correct answer: 2. High Risk Screening

Explanation: According to the National Programme for Control of Blindness, the screening strategy followed for prevention of blindness secondary to diabetic retinopathy involves screening of those individuals who are at high risk. These high risk groups are identified using ophthalmoscopy and fundus photography. Ref: Ophthalmology By Khurana, Pages 426-433; Concise Textbook Of Ophthalmology By Sharma, Pages 208-211; Park Textbook of Social and Preventive Medicine, 19th Edition, Pages 360-362.